Paralytic ileus is characterized by all except
1. No bowel sounds on auseultation
2. No passage of flatus
3. Gas filled loops of intestine with multiple fluid levels
4. Loops of intestine are not seen d\/t loss of peristalis

Correct answer: 4. Loops of intestine are not seen d\/t loss of peristalis

Explanation: Paralytic ileus may present with nausea, vomiting, refusal to eat, bowel distension and absence of flatus or bowel movements. Abdominal radiography reveals a dilated bowel.Treatment is usually supportive with maintenance of adequate hydration and electrolyte levels. There is usually little pain, and gas-filled loops with fluid levelsare seen distributed throughout the small and large intestines on abdominal imaging. In paralytic ileus, bowel sounds are reduced or absent. Ref: Bailey & Love's Short Practice of Surgery,E25,Page-264,996